Group of lymph node involved in breast carcinoma are all of the following except:
1. Supraclavicular
2. Pretracheal
3. Axillary
4. Internal mammary

Correct answer: 2. Pretracheal

Explanation: Ans. B: Pretracheal Lymphatic metastasis occurs primarily to the axillary and the internal mammary lymph nodes. Tumours in the posterior one-third of the breast are more likely to drain into the internal mammary lymph nodes. Involvement of supraclavicular nodes and any of the contralateral lymph nodes represent advance disease.